Increased vascular permeability in acute inflammation is due to -
1. Histamine
2. IL 2
3. TGF beta
4. FGF

Correct answer: 1. Histamine

Explanation: Ans. is 'a' i.e., Histamine EFFECTS OF VARIOUS MEDIATORSo Various effects of inflammatory mediators areIncreased vascular permeability Histamine, serotonin (5-hydroxytryptamine), anapkylotoxins (C3a, C4a, C5a), PAF, leukotrienes (LTC4, D4, E4), bradykinin.# PAF is the most potent one to increase permeability.ChemoattractantC5a (most potent), IL-8, LTB4, PAF, bacterial products, Lymphokine, Kallikrein.# C5a is the most potent chemoattractant.Vasodilatation Histamine, prostaglandins (PG D2, PGE2), prostacyclins (PGI2), serotonin. Nitric oxide, bradykinin.Vasoconstriction Leukotrienes (LTC4, D4, E4), Th rom boxane A2.Bronchoconstriction Leukotrienes (LTC4, D4, E4), PFA, histamine, bradykinin.# Leokotrienes (LTC4, D4, E4) are most potent bronchoconstrictors.Pain Prostaglandins, bradykinin.Fever (pyrogens) IL-1, TNF-al IL-6, prostaglandins, interferon.